Zoster recurrence occur after infection with-
1. HSV 1
2. HSV2
3. Varicella
4. Small pox

Correct answer: 3. Varicella